Which of the following is not a cause of death due to suffocation?
1. Choking
2. Gagging
3. Smothering
4. Throttling

Correct answer: 4. Throttling

Explanation: Throttling involves compression of neck by human hands, and is a form of strangulation (and not suffocation). Death from throttling occurs due to occlusion of carotid arteries. Occlusion of airways plays a minor role. Ref: Essentials of Forensic Medicine and Toxicology By Dr K S Narayan Reddy, 27th Edition, Pages 312, 318-321; Parikh's Textbook of Medical Jurisprudence and Toxicology, 6th Edition, Pages 3.57, 3.40-3.62